Non-alcoholic steatohepatitis seen in-a) DMb) Obesityc) IHDd) Gall stonee) Hyper tryglyceridemia
1. abc
2. abe
3. cde
4. acd

Correct answer: 2. abe